Quinsy is also known as:
1. Peritosillar abscess
2. Retropharyngeal abscess
3. Parapharyngeal abscess
4. Paraepiglottic abscess

Correct answer: 1. Peritosillar abscess

Explanation: Quinsy is also known as peritonsillar abcess, it is a collection of pus in the peritonsillar space which lies between the capsule of palatine tonsil and pharyngeal muscle. Peritonsillar abcess is the most common deep space infection of head and neck in the adult. It is characterized by pain, difficulty swallowing, trismus, hot potato voice, fever, malaise, dehydration and rancid breath. Examination shows erythematous oropharyngeal mucosa, purulent tonsillar exudates, inferomedial displacement of tonsil on the involved side with contralateral deviation of the uvula.